True about X-rays:
1. Differ from light in their charge
2. Are produced when Electron beam strikes the Cathode
3. Bone scan makes use of high-energy X-rays.
4. Can be emitted as well as absorbed.

Correct answer: 4. Can be emitted as well as absorbed.

Explanation: Ans. D. Can be emitted as well as absorbedX-rays are ionizing electromagnetic radiations, essentially produced when a stream of K shell electrons of an atom accelerated by a high voltage applied between the filament (cathode) and the target (anode), strikes the target and the electrons give up their energy producing characteristic radiations i.e., the X-rays. X-rays have dual property - they can be emitted as well as absorbed. In bone scan gamma radiations are used (not x-rays).